Which of the following is an ultrashort acting muscle relaxant ?
1. Rocuronium
2. Atracurium
3. Succinyl choline
4. Doxacurium

Correct answer: 3. Succinyl choline

Explanation: Ans- C Fastest acting MR Scoline Fastest acting NDMR Rocuronium Shortest acting MR Gantacurium or scoline Shortest acting NDMR Gantacurium or mivacurium Longest acting MR Doxacurium